Bifurcation of trachea takes place at -
1. T4 - T5
2. C6 -C7
3. C3 - C4
4. T10 - T11

Correct answer: 1. T4 - T5